The most common lid sign associated with Grave's ophthalmopathy is
1. Von Graefe's sign
2. Dalrymple's sign
3. Stellwag's sign
4. Rosenbach's sign

Correct answer: 2. Dalrymple's sign

Explanation: Ans. Dalrymple's sign